Which of the following is the primary acid-base disorder
associated with haemorrhagic shock, diabetic ketosis and chronic renal failure?
1. Metabolic acidosis
2. Metabolic alkalosis
3. Respiratory acidosis
4. Respiratory alkalosis

Correct answer: 1. Metabolic acidosis